All are true regarding activation of trypsin, EXCEPT:
1. Enterokinase helps in the activation
2. Activated autocatalytically by trypsin
3. It takes place in the small intestine
4. Mg is also required

Correct answer: 4. Mg is also required

Explanation: Trypsin is a proteolytic enzyme, secreted by the pancreas. It is secreted in the inactive form trypsinogen. It is activated to the active form, trypsin in the small intestine. Its activation is brought about by enterokinase, autocatalytically by trypsin and calcium is also required. Ref: Ganong's Review of Medical Physiology, 22nd Edition, Page 468